Which of the following is not a connective tissue -
1. Blood
2. Muscle
3. Bone
4. Cartilage

Correct answer: 2. Muscle

Explanation: Cartilages, bone and blood are specialized connective tissues.
Muscles are classified as muscle tissue.